Spheroiding technique is one of the
1. Regeneration procedure
2. Resective osseous surgery
3. Gingival augmentation procedure
4. Gingival extension procedure

Correct answer: 2. Resective osseous surgery